Seliwanoff's test is positive in:
1. Glucose
2. Fructose
3. Galactose
4. Mannose

Correct answer: 2. Fructose

Explanation: Ans. B. FructoseSeliwanoff's test is a specific test for ketohexoses. It consists of resorcinol with HCL. It reacts with ketoses forming furfurals and then condenses to form a cherry colored complex. Given by fructose, sucrose.